Patient requiring immediate referral is alloted what color code according to IMNCI color coding?
1. Pink
2. Red
3. Green
4. Yellow

Correct answer: 1. Pink

Explanation: IMNCI has divided on the basis of colour coded treatment. PINK-urgent referral, YELLOW-Treatment at outpatient facility, GREEN-Home management. (REF. PARK'S TEXTBOOK OF PREVENTIVE AND SOCIAL MEDICAL 21ST EDITION. PAGE NO - 414)